True about BAHA
1. Useful in canal atresia and microtia
2. Useful in bilateral severe SNHL
3. Useful after surgery in neurofibromatosis 2 for acoustic neuroma
4. It can bypass cochlea

Correct answer: 1. Useful in canal atresia and microtia

Explanation: BAHA: Bone anchored hearing aid is a type of hearing aid which is based on the principle of bone conduction. BAHA uses a surgically implanted abutment to transmit sound by direct conduction through bone to cochlea, bypassing the external auditory canal and middle ear. When air-conduction (AC) hearing aid cannot be used: - Canal atresia, congenital or acquired, not amenable to treatment. - Chronic ear discharge, not amenable to treatment. - Excessive feedback and discomfort from air-conduction hearing aid. Conductive or mixed hearing loss, e.g. otosclerosis and tympanosclerosis where surgery is contraindicated. Single-sided hearing loss. For severe bilateral SNHL--Cochlear implant is used. For bilateral acoustic neuromas in Neurofibromatosis - auditory brainstem implant is used.